Which of these is the best location for assessing reduction of zygomatic fractures?
1. Zygomaticosphenoid suture
2. Zygomatic arch
3. Zygomatic-maxillary buttress
4. Infra-orbital rim

Correct answer: 1. Zygomaticosphenoid suture

Explanation: Options a>b>c>d FZ suture → descending order of best locations for assessing the accuracy of reduction of zygomatic fractures.